Person having heterozygous sickle cell trait is protected from infection of
1. P. falciparum
2. P. vivax
3. neumococcus
4. Salmonella

Correct answer: 1. P. falciparum

Explanation: Ans. a. P. falciparum